Dissociative fugue is:
1. Person has sudden onset of paralysis
2. Person is fearful of a specified object
3. Person has multiple identities
4. Person flees from an immediate life situation

Correct answer: 4. Person flees from an immediate life situation

Explanation: Ans. Person flees from an immediate life situation